Disseminated intravascular coagulation is present in all except -
1. Prolonged pregnancy
2. Amniolotic fluid embolism
3. Septic shock
4. Abruptio placentae

Correct answer: 1. Prolonged pregnancy